Sensory nerve supply of larynx below the level of vocal cord is:
1. External branch of superior laryngeal nerve
2. Internal branch of superior laryngeal nerve
3. Recurrent laryngeal nerve
4. Inferior pharyngeal

Correct answer: 3. Recurrent laryngeal nerve

Explanation: Nerve supply of larynx

Sensory:

––The internal laryngeal nerve supplies the mucous membrane up to the level of the vocal folds.
––The recurrent laryngeal nerve supplies below the level of the vocal folds.

Motor:

––All intrinsic muscles of the larynx are supplied by the recurrent laryngeal nerve except for the cricothyroid
which is supplied by the external laryngeal nerve.